Low molecular weight heparins are used very frequently to prevent propagation of thrombus in children with stroke. What is the laboratory test used in blood to monitor the LMW Heparins?
1. Anti factor X a
2. Factor Xa
3. Thrombin
4. Antithrombin

Correct answer: 1. Anti factor X a

Explanation: Low Molecular Weight Heparin (LMWH) use in children: Because of ease of dosing and need for less monitoring, LMWH is used more frequently in pediatric patients. Unlike unfractionated Heparin, which is monitored using the aPTT, LMWH is monitored anti-Xa activity. LMWH formulation that has been used most often in pediatric patients is enoxaparin Recommended standard starting dose of enoxaparin for infants <2 mo is 1.5 mg/kg/dose subcutaneously every 12 hr; for patients >2 mo it is 1 mg/kg subcutaneously every 12 hr. Peak levels are achieved 2-6 hr following an injection.